An electrode of a cochlear implant is placed in
1. Horizontal semicircular canal
2. Scala media
3. Scala tympani
4. Scala vestibule

Correct answer: 3. Scala tympani

Explanation: Parts of the implant: External part- Microphone, Speech processor, and Transmitter coilInternal part- Receiver stimulator, Electrode arrayThe electrode array is inserted into the scala tympani by widening the round window (Cochleostomy)Ref: Hazarika; 3rd ed; Pg: 87